Which of the following term is MOST appropriate for growth of bone?
1. Enlargement
2. Apposition
3. Hyperplasia
4. Hypertrophy

Correct answer: 2. Apposition

Explanation: Because bone tissue is made by osteoblasts, the growth of bone is achieved only by deposition of new bone on pre existing surface. This is known as appositional growth. Ref: Robbin's Pathologic basis of Diseases 7/e, Page 1278; Dorland's pocket medical dictionary 27/e, Page 62.